Rigor mortis come early in all, except:
1. Cholera
2. Heat stroke
3. OPC poisoning
4. Pneumonia

Correct answer: 4. Pneumonia

Explanation: Ans. Pneumonia